Under National Programme for Prevention of Nutritional Blindness, a child in the age group of 6-11 months is given a mega dose of vitamin A equal to -
1. 50,000 IU
2. 1 Lakh IU
3. 1.5 Lakh IU
4. 2 Lakh IU

Correct answer: 2. 1 Lakh IU

Explanation: Ans. is 'b' i.e., 1 lakh I.U. Since vitamin A can be stored in the body for 6-9 months and liberated slowly a short term simple technology had been evolved by the National institute of nutrition at Hyderabad for community based intervention against nutritional blindness. Children 1-6 years of age - Massive dose of 200,000 IU of vitamin A orally every 6 months.Children b/w 6 mo -1 yr - 100,000 IU of vitamin A orally every 6 months.More about t/t of vit A deficiencyVitamin A deficiency should be treated urgently.T/T for early stage of xerophthalmia - Administration of massive dose (2 lakh I.U.) orally on two successive days.All children with corneal ulcers should receive vitamin A whether or not a deficiency is suspected.Also knowDaily intake of vitamin A recommended in (mcg)* Adults-600* Pregnancy-600* Lactation-950* Infants-350 mcg* Children-400 mcg* 7-12 yrs-600 mcgMore question on vitamin A deficiencyFirst clinical sign of vitamin A deficiency - Conjunctival xerosis.Bitot's spots are indication of vitamin A deficiency and are seen on Bulbar conjunctiva on either side of cornea.Bitot's spots are frequently bilateral.